Which one of the following is not a part of theRevised Trauma score -
1. Glasgow coma scale
2. Systolic blood pressure
3. Pulse rate
4. Respiratory rate

Correct answer: 3. Pulse rate

Explanation: Ans. is 'c' i.e., Pulse rate The Revised Trauma Score is made up of a combination of results from three categories: - Glasgow Coma Scale, - Systolic Blood Pressure, and - Respiratory rate.